What is the ideal treatment for a 55-years female with Simple hyperplasia of endometrium with Atypia :
1. Simple Hysterectomy
2. Medroxy Progesterone Acetate (DMPA)
3. Levonorgesterol (LNG)
4. IUCD

Correct answer: 1. Simple Hysterectomy

Explanation: With atypia, hysterectomy is the best option There is 25% association with coexisting endometrial carcinoma and a high risk of progression to endometrial cancer Reference : Textbook of Gynaecology; Sheila balakrishnan; 2nd edition; Pg no: 247